All of the following are the posterior relations of the kidney EXCEPT:
1. Psoas major
2. Quadratus lumborum
3. Sympathetic chain
4. Ilioinguinal nerve

Correct answer: 3. Sympathetic chain

Explanation: Nerves related to kidneys posteriorly are: Subcostal (T12), iliohypogastric (L1), and ilioinguinal (L1). Four muscles are in posterior relations of kidney: Diaphragm, quadratus lumborum, psoas major, and transversus abdominis. fig:- posterior relation of kidney